Irresistible urge to do a thing repeatedly is seen in
1. Obsessive - compulsive disorder
2. Schizophrenia
3. Schizoaffective disorder
4. Depression

Correct answer: 1. Obsessive - compulsive disorder

Explanation: An obsession is defined as an idea, impulse or image which intrudes into the conscious awareness repeatedly, patient tries to resist against it but is unable to . an obsession is usually associated with compulsion and a compulsion is defined as a form of behaviour which usually follows obsessions,the behaviour is not realistic and is either irrational or excessive compulsion may diminish the anxiety associated with obsession (Ref: a short textbook of psychiatry, Niraj Ahuja, 7th edition, pg no 95)